Which antibiotic acts by inhibiting protein synthesis:
1. Cefotetan
2. Doxycycline
3. Ciprofloxacin
4. Oxacillin

Correct answer: 2. Doxycycline

Explanation: Doxycycline is a tetracycline that act by inhibiting protein synthesis.
Cefotetan and oxacillin are β-lactam antibiotics that act by inhibiting cell wall synthesis.
Ciprofloxacin is a fluoroquinolone that acts by inhibiting DNA gyrase.